Which one of the following does not indicate good prognosis in Ca penis
1. Size less than 2 cm
2. No regional lymph node metastasis
3. No invasion of subepithelial connective tissue
4. No metastases

Correct answer: 1. Size less than 2 cm

Explanation: It is not the size of the tumor but the invasion of the lesion into the corpora or overlying facial layers, which are prognostic indicator.